Most cardiotoxic local anaesthetic is
1. Bupivacaine
2. Procaine
3. Prilocaine
4. Dibucaine

Correct answer: 1. Bupivacaine

Explanation: Bupivacaine (Sensoricaine, Marcaine)Bupivacaine is 2nd most commonly used local anaesthetic (after lidocaine)Bupivacaine has the highest local tissue irritancy amongst local anaestheticsIt is the most cardiotoxic local anaestheticLevobupivacaine (The S(-) enantiomer of bupivacaine) is less cardiotoxic and less prone to cause seizureConcentrations used for bupivacaine are:- Nerve block: 0.5%, epidural: 0.25 -0.5%, and spinal: 0.5%Maximum safe dose is 2mg/kg without adrenaline and 3mg/kg with epinephrine (Refer: stoelting's pharmacology and physiology in anaesthetic practice, 5th edition, pg no.294)